Which of the following forms the anterior wall of the Axilla?
1. Subscapularis
2. Teres major
3. Clavipectoral fascia
4. Latissimus dorsi

Correct answer: 3. Clavipectoral fascia

Explanation: Clavipectoral fascia forms the anterior wall of the axilla.Also know:Boundaries of Axilla:Anterior wall: Pectoralis major, Pectoralis minor, Clavipectoral fasciaPosterior Wall: Subscapularis, Teres major, Latissimus dorsiMedial Wall: First rib and their associated intercostals muscles, Serratus anteriorLateral Wall: Intertubercular (bicipital groove), Biceps tendon.